Approximately what gauge wax relief should be provided, prior to duplication of master cast, beneath frame work extension on to ridge areas for attachment of resin bases.
1. 22 gauge
2. 20 gauge
3. 10 gauge
4. 28 gauge

Correct answer: 2. 20 gauge